Chyiuria is due to-
1. Carcinoma
2. Tuberculosis
3. Filaria
4. Malaria

Correct answer: 3. Filaria